Features of secretory diarrhea include all of the following, Except:
1. Stool volume > 1D /day
2. Normal osmotic anion gap
3. Reduces with fasting
4. Painless

Correct answer: 3. Reduces with fasting

Explanation: Answer is C (Reduces with fasting): Secretory diarrhea does not reduce with fasting. In secretory diarrhea an abnormal ion transport occurs accross intestinal epethelial cells. This diarrhea is not related to the intestinal content and hence it typically does not cease with, fasting. Typical Features of Secretory Diarrhea Large volume (typically > IL/ day) Little change with lasting (Diarrhea typically does not cease while patient fasts) Normal stool osmotic gap (osmoality of stool is close to osmolality of plasma) No anion gap Stools are watery in consistency and do not contain pus or blood Painless